Arrange the following 4 enzymes of gluconeogenesis in sequence: A. Pyruvate carboxylase B. Glucose - 6 - phosphatase C. Phosphoenol pyruvate carboxy kinase D. Fructose 1,6 Bisphosphatase
1. D-C-A-B
2. A-C-D-B
3. B-A-D-C
4. C-D-B-A

Correct answer: 2. A-C-D-B